Which of the following is not part of control measures for diphtheria-
1. Treatment of cases with antitoxin and erythromycin
2. Treatment of carriers with antitoxin
3. Isolation of cases, suspected cases and carriers
4. Regular immunization under-fives

Correct answer: 2. Treatment of carriers with antitoxin

Explanation: The carriers should be treated with 10 days course of oral erythromycin, which is the most effective drug for the treatment of carriers . Ref:PARK'S TEXTBOOK OF PREVENTIVE AND SOCIAL MEDICINE 23rd edition , Page :161